Which of the following is the most common type of vulvar cancer ?
1. Paget's
2. Squamous
3. Melanoma
4. Adenocarcinoma

Correct answer: 2. Squamous

Explanation: Cancer of the vulva makes up approximately 5% of all gynecologic malignancies, and approximately 90% of vulvar cancer is squamous cell. Other cancers are mentioned in the table. Malignant Tumors of the Vulva Based on IARC/WHO Classification Type Percent Malignant Epithelial Tumors Squamous cell carcinoma (Keratinizing, non-keratinizing, basaloid, way, verrucous) 90-92% Basal Cell Carcinoma 2-3% Paget disease <1% Bartholin gland (adenocarcinoma, squamous cell, adenosquamous, adenoid cystic, transitional cell) 1% Tumors arising from other specialized anogenital gland (adenocarcinoma of mammary gland type, adenocarcinoma of skene gland or minor vestibular gland origin, malignant phylloides tumor) <1% Adenocarcinomas of other types (sweat glant type, intestinal type) <1%